Most common cause of maternal mortality ?
1. Anemia
2. Abortion
3. Hemorrhage
4. Infection

Correct answer: 3. Hemorrhage

Explanation: Ans. is 'c' i.e., Hemorrhage